Independent assoment of chromosome occurs at which level
1. Primordial germ cells to spermatogonia
2. Spermatogonia to primary spermatocyte
3. Primary spermatocyte to secondary spermatocyte
4. Secondary spermatocyte to spermatids

Correct answer: 3. Primary spermatocyte to secondary spermatocyte

Explanation: Independent assoment: - Separation of maternal & paternal chromosomes is c/a independent assoment. It occurs in meiosis-I Meiosis I is reductional division. It is when primary spermatocyte become secondary spermatocyte. Spermatogenesis: -